Under extended sickness benefit of ESI act, Tuberculosis benefit is given for duration of:
1. 6 months
2. 1 year
3. 2 years
4. 4 years

Correct answer: 3. 2 years

Explanation: A person diagnosed with tuberculosis is entitled to extended sickness benefit for 2 years along with 80% wages. This benefit is given to the insured person that has been in continuous employment for 2 years. The Employees State Insurance Act, 1948 Ministry- Union ministry of Labour Chair person- Union minister of Labour Contribution- Employer - 3.25% of wages Employee - 0.75% of wages For people with income < 21,000 per month